Gastric emptying is maximum affected by:
1. Lipids
2. Amino acid
3. Carbohydrates
4. Fiber

Correct answer: 1. Lipids

Explanation: Ans. (a) LipidsRef.: Ganong Review of Medical Physiology, 23 ed., Chapter 28* The presence of fat in the small intestine is the most potent inhibitor of gastric emptying, resulting in relaxation of the proximal stomach and diminished contractions of the distal, "gastric grinder" - when the fat has been absorbed, the inhibitory stimulus is removed and productive gastric motility resumes.* If the fluid is hypertonic or acidic or rich in nutrients such as fat or certain amino acids, the rate of gastric emptying will be considerably slower and non-exponential.* Indeed, the rate of gastric emptying of any meal can be predicted rather accurately by knowing its nutrient density.* Nutrient density is sensed predominantly in the small intestine by osmoreceptors and chemoreceptors, and relayed to the stomach as inhibitory neural and hormonal messages that delay emptying by altering the patterns of gastric motility.